Pulmonary fibrosis is a side effect of:
1. Mitomycin-C
2. Hydroxyurea
3. Bleomycin
4. Cisplatin

Correct answer: 3. Bleomycin

Explanation: Ans: C i.e. Bleomyci Drugs and side-effects Mitomycin-C's primary targets of toxicity are bone marrow and gastrointestinal tract. Major toxicity of hydroxyurea is myelosuppression. Mucocutaneous toxicity and pulmonary fibrosis, but little myelosuppression are the special features of bleomycin toxicity. The most important toxicity of cisplatin is renal impairment. Cisplatin is highly emetic drug.